True regarding Dengue fever is all, EXCEPT -
1. Haemorrhagic tendency
2. Spontaneous remission
3. Transmitted by Anopheles mosquito
4. Fever is saddle back type

Correct answer: 3. Transmitted by Anopheles mosquito

Explanation: Aedes aegypti and Aedes Albopictus are the 2 most important vectors of dengue. Reference; Park's Textbook of preventive and social medicine, 24th edition.Pg no. 262